Child rights are guaranteed in which article of the constitution -
1. Article 24
2. Article 28
3. Article 35
4. Article 42

Correct answer: 1. Article 24

Explanation: parks textbook of peventive and social medicine 23rd edition. *relevant articles for the right of child are : article 24 prohibits employment of children below the age of 14 in factories article 39 prrevents abuse of children of tender age article 45 provides for free and compulsory education for all children until they complete the age of 14years .